All of the following muscles forms the boundary of the suboccipital triangle found in the suboccipital region of the neck, EXCEPT:
1. Obliquus capitis superior muscle
2. Obliquus capitis inferior muscle
3. Rectus capitis posterior major muscle
4. Rectus capitis posterior minor muscle

Correct answer: 4. Rectus capitis posterior minor muscle

Explanation: The suboccipital triangle is bounded by rectus capitis posterior major and the obliquus capitis superior and inferior muscles. The floor of this triangle is formed by the posterior occipitoatlantal membrane and the posterior arch of the C1 vertebrae.Contents of the triangle are:Vertebral arterySuboccipital nerveGreater occipital nerveRef: Morton D.A., Foreman K.B., Albertine K.H. (2011). Chapter 1. Back.